Vocal cord palsy is not associated with:
1. Vertebral secondaries
2. Left atrial enlargement
3. Bronchogenic carcinoma
4. Secondaries in mediastinum

Correct answer: 1. Vertebral secondaries

Explanation: Vocal cord paralysis is most commonly iatrogenic in origin following surgery to Thyroid, parathyroid, carotid or cardiothoracic structures. Neck trauma Benign or malignant thyroid disease Thyroid surgery Carcinoma cervical oesophagus Cervical lymphadenopathy